Basal lamina is made up of clear zone and dark zone, both respectively known as:
1. I zone, A zone.
2. Lamina lucida, Lamina densa.
3. Lamina densa, Lamina lucida.
4. A zone, I zone.

Correct answer: 2. Lamina lucida, Lamina densa.